Use of valproate during pregnancy may result in
1. Intellectual disability
2. Respiratory depression
3. Hydantoin syndrome
4. Neural tube defect

Correct answer: 4. Neural tube defect

Explanation: Valproate crosses the placenta and has been reported to have caused teratogenic effects, including neural tube defects (anencephaly, meningomyelocele, and spina bifida) in the fetus when the mother received valproate during the first trimester of pregnancy.